The treatment of choice in Endometrial rCnar9c4i)- noma stage I is :
1. External radiotherapy
2. lntracavitary radiation
3. Hysterectomy
4. Chemotherapy

Correct answer: 3. Hysterectomy

Explanation: Hysterectomy